Which laser is used for Posterior capsular cataract
1. Krypton
2. ND-YAG
3. Argon
4. Diode laser

Correct answer: 2. ND-YAG

Explanation: Ans. (b) ND-YAGRef: A.K. Khurana 6th ed. /187-89* ND-YAG (Neodymium- Yttrium-Aluminium-Garnet) laser is used for posterior capsulotomy in after cataract.* Diode, Argon and Krypton laser is used for retinal photocoagulation.